Dyslipidemia is more commonly associated with:
1. Type 1 Diabetes
2. Type 2 Diabetes
3. Both
4. None

Correct answer: 2. Type 2 Diabetes

Explanation: Answer is B (Type -- 2 ): Dyslipidemia is typically associated with Type- 2 Diabetes Mellitus. `Patients with Type -1 Diabetes mellitus generally do not have hyperlipidemia if they remain under good glycemic control. Patients with type-II Diabetes Mellitus are usually dyslipidemic even when under good glycemic control' The most common pattern of Dyslipidemia seen in patients with diabetes mellitus is hypertriglyceridemia (1 Triglycerides) and reduced HDL cholesterol (l,HDL) levels.